Total number of Primordial follicles present at birth:
1. 2000-4000
2. 20,000-40000
3. 1-2 lakhs
4. 1-2 Million

Correct answer: 4. 1-2 Million

Explanation: Primordial cells starts to form at 8 weeks of intrauterine life At 20 weeks they are around 6 - 7million At birth they are 1-2 million At puberty they are around 3 to 4 lakhs. A woman typically uses around 400-450 of these follicles in her life and the remaining undergo atresia. * Ovulation starts 12 years onward until 50 years mostly. Thats 38 years of menses. Hence 38 x 12 months = 456 follicles are totally utilized n a woman's life.